The age and sex structure of a population may be best described by
1. Life table
2. Correlation coefficient
3. Population pyramid
4. Bar chart

Correct answer: 3. Population pyramid

Explanation: The age and sex composition of a country can be best described by population pyramid. Age group from 0-80+ is represented in a scale and the male and female population are represented on either side of the population pyramid. Reference: Park's textbook of preventive and social medicine, 23rd edition, pg no: 482,483